Munchausen syndrome by proxy is:
1. Factitious disorder
2. Malingering
3. Hysteria
4. Conversion disorder

Correct answer: 1. Factitious disorder

Explanation: Ans. Factitious disorder